Most common cause of knock knee
1. Osteo-arthritis
2. Rheumatoid arthritis
3. Idiopathic
4. Trauma

Correct answer: 3. Idiopathic